a 16-week old child which is expected
1. Make polysyllabic vowel sounds
2. Get excited at sight of food
3. Enjoy mirror
4. All of the above

Correct answer: 2. Get excited at sight of food

Explanation: Milestones of development at 16 weeks * Social: Laughs out loud; may show displeasure if social contact is broken; excited at sight of food. * Prone: Lifts head and chest, head in approximately vertical axis; legs extended. * Supine: Symmetric posture predominates, hands in midline; reaches and grasps objects and brings them to mouth. * Standing: When held erect, pushes with feet. * Sitting: No head lag on pull to sitting position; head steady tipped forward; enjoys sitting with full truncal support. * Adaptive: Sees pellet, but makes no move to it.